Choose among the following the most important lab finding in nephrotic syndrome –
1. B–J protein
2. Hyperkalemia
3. Hypoalbuminemia
4. Hypertension

Correct answer: 3. Hypoalbuminemia